Which of the following is not seen in Chronic Regional Pain Syndrome?
1. Anhydrosis
2. Pain
3. Swelling
4. Osteoporosis

Correct answer: 1. Anhydrosis

Explanation: Complex regional pain syndrome is usually associated with increased sweating (hyperhydrosis) and not anhydrosis. Pain and swelling are features of CRPS, while osteoporosis may present with CRPS. So the single best answer of choice is anhydrosis. Ref: Harrison's Principles of Internal Medicine, 16th Edition, Page 2433